About Ectopia vesicae, following is true except -
1. CA bladder may occur
2. Ventral curvature of penis
3. Incontinence of urine
4. Visible uretero - vesical efflux

Correct answer: 2. Ventral curvature of penis

Explanation: Ectopia vesicae is associated with epispadias in which dorsal or upwards curvature of penis is noted.
Ventral curvature is noted in hypospadias.